What is the GCS of dead patient
1. 0
2. 1
3. 2
4. 3

Correct answer: 4. 3